Best graft for infra inguinal approach bypass:
1. Dacron
2. PTFE
3. Polyester
4. Autologous vein

Correct answer: 4. Autologous vein

Explanation: Vascular Graft Bioprosthetic Synthetic Autograft Homograft (allograft) Heterograft (Xenograft) Tissue engineered Textile: - Dacron Non-textile: -ePTFE - Polyurethane Best Natural vascular graft: Reversed saphenous vein Best synthetic vascular graft: Dacron Best vascular graft for suprainguinal bypass: Dacron Best vascular graft for infrainguinal bypass: Saphenous vein Best vascular graft for aorta: Dacron Most preferred graft for CABG: LIMA (left internal mammary artery) > Saphenous vein MC used graft for CABG: Saphenous vein